During epidemics of cholera, Wells needs to be disinfected every:
1. Hour
2. Day
3. Week
4. Month

Correct answer: 2. Day

Explanation: Ans. B i.e. Day During epidemics of cholera, wells should be disinfected every day